Agar is used for solidyfing Liquid Media instead of Gelatin Because ?
1. Agar has more nutrition
2. Gelatin melts at 37degC
3. Gelatin is not easily available
4. Agar is cheaper

Correct answer: 2. Gelatin melts at 37degC

Explanation: Ans. is 'b' i.e., Gelatin melts at 37degC Agar is preferred to gelatin as a solidifying agent in culture media. This is because gelatin melts at relatively low temperature (< 35degC), while agar melts at around 85degC. Therefore, when gelatin is incubated at the normal temperature for bacterial growth, i e. at 37deg C, it melts, while agar remains solid.